Which of the following is the most important bedside measurement from which volume status can be assessed
1. JVP
2. ECG
3. Pulse rate
4. None of the above

Correct answer: 1. JVP

Explanation: JVP is the single most important bedside measurement to estimate the volume status. The internal jugular vein is preferred because the external jugular vein is valved and not directly in line with the superior vena cava and right atrium.